Postural hypotension is the common side effect of which of the following ?
1. ACE inhibitors
2. Alpha receptor blockers
3. Arteriolar dilators
4. Selectiveβ1 blockers

Correct answer: 2. Alpha receptor blockers